Stereotypic moments are
1. Sustained posture against gravity
2. Passive inducible movements
3. Repetitive, spontaneous, nonfunctional movements
4. Resistance to passive movements

Correct answer: 3. Repetitive, spontaneous, nonfunctional movements

Explanation: Stereotypic movements are seen in catatonic type of schizophrenia.